In thrombocytopenic purpura there is:
1. Increase in platelet count
2. Decrease in platelet count
3. Normal platelet count
4. Defective platelet function

Correct answer: 2. Decrease in platelet count